Hangman's fracture is fracture of C2
1. Dens fracture
2. Lamina
3. Pars interarticularis
4. Spinous process

Correct answer: 3. Pars interarticularis

Explanation: C i.e. Pars interarticularis